Bariatric surgery operations include all except
1. Gastric banding
2. Gastric by pass
3. Biliopancreatic diversion
4. Ileal transposition

Correct answer: 4. Ileal transposition

Explanation: Ans. (d) Ileal transpositionRef: Sabiston 19th Edition, Page 363Malabsorptive* Jejunoileal and jejunocolic bypasses (no longer recommended)Restrictive* Vertical banded gastroplasty* Adjustable silicone gastric banding* Sleeve gastrectomyMostly restrictive (and partly malabsorptive)* Short-limb (50-100cm) Roux-En-Y gastric bypass* Long-limb (150cm) Roux-En-Y gastric bypassMostly malabsorptive* Biliopancreatic diversion with or without duodenal switch